Increased amylase levels in pleural fluid are seen in -
1. Malignancy
2. Pancreatitis
3. Oesophageal rupture
4. All

Correct answer: 4. All